Long - acting thyroid stimulator in Graves disease is an example of:
1. Type 1 hypersensitivity
2. Type 2 hypersensitivity
3. Type 3 hypersensitivity
4. Type 4 hypersensitivity

Correct answer: 2. Type 2 hypersensitivity